Not true about Ankylosing spondylitis
1. HLA B-27 positive
2. Sacroiliitis
3. Uveitis
4. Epidermolysis Bullosa

Correct answer: 4. Epidermolysis Bullosa